Spinal anaesthesia in an adult is given at this level:
1. T12-L1
2. L1-L2
3. L3-L4
4. L5-S1

Correct answer: 3. L3-L4

Explanation: Spinal cord ends at lower border of L1 in adults .Hence spinal anesthesia can be given at levels below L1 . L2-L3 or L4-L5 are considered best in adults